The most important prognostic factor in breast carcinoma is
1. Histological grade of the tumor
2. Stage of the tumor at the time of diagnosis
3. Status of estrogen and progesterone receptors
4. Over expression of p-53 tumour suppressor gene

Correct answer: 2. Stage of the tumor at the time of diagnosis

Explanation: Stage I and II has got better prognosis. Spread to axillary nodes is the most important prognostic indicator. Age: Younger the age worser the prognosis. Sex: Carcinoma male breast has got worser prognosis compared to female breast. Because of early spread in carcinoma male breast. Atrophic scirrhous has got best prognosis. Medullary carcinoma has got better prognosis than scirrhous carcinoma because of lymphocytic infi ltration. Invasive carcinoma has got worser prognosis. Inflammatory carcinoma breast has worst prognosis. Ref; (page no;559 ) 5th edition of SRB'S manual of Surgery